Struma ovaril is composed entirely of ?
1. Mature thyroid tissue
2. Immature thyroid tissue
3. Pimary ovarian carcinoid tissue
4. None of the above

Correct answer: 1. Mature thyroid tissue

Explanation: Ans. is 'a' i.e., Mature thyroid tissue